Mechanism of action of cyanide poison is
1. Inhibit cytochrome oxidase
2. Inhibit cytochrome p450 enzyme
3. Inhibit phosphodiesterase
4. Inhibit DNA replication

Correct answer: 1. Inhibit cytochrome oxidase

Explanation: (Inhibit cytochrome oxidase): (8.38- Parikh 6th edition)* Cyanide inhibits the action of cytochrome oxidase, carbonic anhydrase and probable of other enzyme system. It blocks the final step of oxidative phosphorylation and prevents the formation of ATP and its use as energy source.* Cyanide acts by reducing the oxygen carrying with the ferric iron atom of intracellular cytochrome oxidase preventing the uptake of oxygen for cellular respiration. There is an interference with the intracellular oxidative processes in the tissues and it kills by creating histotoxic or cytotoxic anoxia, although the blood may contain a normal oxygen content (588- Reddy 31st)